Tyrosine becomes essential in which of the following condition:
1. Wilsons disease
2. Alkaptonuria
3. Thyrosinosis
4. Phenylketonuria

Correct answer: 4. Phenylketonuria

Explanation: The amino acids arginine, cysteine, glycine, glutamine, histidine, proline, serine and tyrosine are considered conditionally essential, meaning they are not normally required in the diet, but must be supplied exogenously to specific populations that do not synthesize it in adequate amounts. Individuals living with PKU must keep their intake of phenylalanine extremely low to prevent intellectual disability and other metabolic complications. However, phenylalanine is the precursor for tyrosine synthesis. Without phenylalanine, tyrosine cannot be made and so tyrosine becomes essential in the diet of PKU patients.